In crude death rate, the population is taken as on
1. 1st March
2. 1st April
3. 15th August
4. 1st July

Correct answer: 4. 1st July

Explanation: The mid-year population is considered.
Hence July 1st is taken.